Anesthesia workstation was first invented by ?
1. August Bier
2. John Lundy
3. Oliver Wendell
4. Edmund Boyle

Correct answer: 4. Edmund Boyle

Explanation: Anesthesia workstation was first invented by Edmund Boyle. John Lundy coined the term balanced anesthesia Oliver Wendell proposed the term anesthesia IVRA was first introduced byAugust Bier